Drug contraindicated in hypertriglyceridemia
1. Fibrates
2. Simvastatin
3. Niacin
4. Cholestyramine

Correct answer: 4. Cholestyramine

Explanation: Bile acid binding resins like cholestyramine causes increase in triglycerides and are thus contraindicated in patients with hypertriglyceridemia due to risk of development of pancreatitis. Statins - decrease LDL and increase HDL Niacin - decrease LDL and triglyceride, maximum increase in HDL Fibrates - decrease triglyceride, decrease LDL.